A case of TB a/c to WHO is detected by
1. Elisa
2. Mass Miniature radiography
3. Sputum exam
4. Montoux test

Correct answer: 3. Sputum exam